Which of the following fibers provide the only output from the cerebellar cortex?
1. Climbing
2. Golgi cell
3. Mossy
4. Purkinje

Correct answer: 4. Purkinje

Explanation: Purkinje cells are located in the second (Purkinje) cell layer of the cerebellar cortex and form inhibitory synapses on the deep cerebellar nuclei. Ref ganong's review of medical physiology 25e p213